Declerembault syndrome is
1. Delusion of Persecution
2. Delusion of reference
3. Delusion of love
4. Delusion of grandeur.

Correct answer: 3. Delusion of love

Explanation: Declerembault syndrome or Erotomania: Delusion of love: is typicaly a young female of lower socioeconomic status believes that a highter socioeconomic status male is secretly in love with her, even after he denies it.